Otoacoustic emission arises from which of the cochlear structures?
1. Inner hair cell
2. Outer hair cell
3. Riesser's membrane
4. Organ of otolith

Correct answer: 2. Outer hair cell

Explanation: Otoacoustic emissions are low intensity sounds produced by outer hair cells of a normal cochlea and can be elicited by a very sensitive microphone placed in the external ear canal and an analysis by a computer.